Which of the following has the lowest Vitamin A
1. Pappaya
2. Mango
3. Amla
4. Orange

Correct answer: 3. Amla

Explanation: Ans) c (Amla) Ref Park 20th ed p 531Vitamin A is seen in most green and yellow fruits and vegetables Retinol equivalent of:* Ripe mango-313* Pappaya - 118* Orange - 25Amala is one of the richest source of Vit C both in fresh as well as in dry condition.